Endolymph is present in:
1. Scala media
2. Scala vestibule
3. Scala tympani
4. Cochlear aqueduct

Correct answer: 1. Scala media

Explanation: Ref: Diseases of Ear, Nose tfc Throat, by Dhingra 5th edition . ch on anatomy of earExplanation:Scala vestibule and scala tympani are filled with perilymphScala media filled with endolymph